All are true about pyogenic meningitis except -
1. Increased CSF protein
2. Pleocytosis
3. Markedly decreased CSF glucose
4. Decreased CSF C- reactive protein

Correct answer: 4. Decreased CSF C- reactive protein